CT scan of a patient with history of head injury shows a biconvex hyperdense lesion displacing the grey–white matter interface. The most likely diagnosis is
1. Subdural hematoma
2. Diffuse axonal injury
3. Extradural hematoma
4. Hemorrhagic contusion

Correct answer: 3. Extradural hematoma

Explanation: Biconvex hyperdense lesion on CT after a head injury suggest the diagnosis of epidural (extradural) hematoma.